All of the following compounds are mitogens that stimulate human T cells to proliferate, EXCEPT:
1. Lipopolysaccharide
2. Concanavalin A
3. Anti CD3 antibody
4. Phytohemagglutinin

Correct answer: 1. Lipopolysaccharide

Explanation: All of the listed compounds are T-cell mitogens except lipopolysaccharide, which is a B-cell mitogen. Ref: Harrison's Principles of Internal Medicine, 17th Edition, Chapter 310, Page 2055